False statement about retroperitoneal fibrosis
1. Ureter is most commonly involved
2. More common in female
3. Primary idiopathic form is called ormond's disease
4. Corticosteroids are mainstay of treatment

Correct answer: 2. More common in female

Explanation: Ans. (b) More common in femalesRef: Bailey and Love 26th edition Page 985* MC organ involved is ureter* Ormond disease- Primary Retroperitoneal fibrosis* Main stay of treatment is Steroids and Bilateral stenting of ureter* There is no sex predilection in Retroperitoneal fibrosis.